Average Duration of first stage of labour in primigravida is -
1. 6 hours
2. 12 hours
3. 16 hours
4. 18 hours

Correct answer: 2. 12 hours

Explanation: Ans. is 'b' i.e., 12 hours StageDefinitionFirstFrom the onset of true labor to full dilation of cervix. Avg duration: 12 hours in primigravida & 6 hours in multigravidaSecondFrom full dilation of cervix to birth of the baby.Avg duration : 2 hours in primi & 30 mins in multi gravidaThirdFrom birth of the baby to delivery of the placenta. 15 minutesFourth1 h observation period following delivery of the placenta